A patient with acute leukaemia is admitted with febrile neutropenia. On day four of being treated with broad-spectrum antibiotics, his fever increases. X-ray chest shows bilateral fluffy infiltrates. Which of the following should be the most appropriate next step in the management
1. Add antiviral therapy
2. Add antifungal therapy
3. Add cotrimoxazole
4. Continue chemotheraphy

Correct answer: 2. Add antifungal therapy

Explanation: Cotrimoxazole is an antibiotic. As the patient is immunocompromised, most probable opportunistic infection is a fungal infection. And X-Ray shows fluffy infiltrates is suggestive of fungal infection. So antifungals are to be added. Ref: Textbook of Microbiology, Ananthanarayan and Paniker; 9th edition